Vibration white finger:
1. Consist of Raynaud's phenomenon and loss of sensation
2. Main pathogenic mechanism is severe degeneration of nerves
3. Computer geeks are at risk of developing it
4. Ice provocation test is always reliable in precipitating attacks

Correct answer: 1. Consist of Raynaud's phenomenon and loss of sensation

Explanation: Vibration white finger (VWF) Episodic appearance of white-finger skin patches (Raynaud's phenomenon) in response to environmental cold. Is accompanied by secondary loss of sensation caused by vascular ischaemia. It can be part of, but is not synonymous with Hand-arm vibration syndrome.